All are true about pseudomyxoma peritonei except
1. Associated with ovarian tumours
2. Appendicitis
3. Yellow jelly collection of fluid
4. Common in male

Correct answer: 4. Common in male

Explanation: This rare condition occurs more frequently in women. The abdomen is filled with a yellow jelly, large quantities of which are often encysted. The condition is associated with mucinous cystic tumours of the ovary and appendix. Recent studies suggest that most cases arise from a primary appendiceal tumour with second- ary implantation on to one or both ovaries.